Carcinoma breast spreads by all of the following veins hematogenously except -
1. Internal mammary vein
2. Axillary vein
3. Intercostal veins
4. Epigastric veins

Correct answer: 4. Epigastric veins

Explanation: Ans. is 'd' i.e., Epigastric veins o Venous drainage of breast is through axillary, internal mammary and intercostal veins providing three major routes of hematogenous metastasis.